Anthropozoonosis are all except:
1. Guinea worm infection
2. Rabies
3. Plague
4. Hydatid cyst

Correct answer: 1. Guinea worm infection

Explanation: Ans. is. 'a' i. e., Guinea worm infection